A dead body is having cadaveric lividity of bluish green colour. The most likely cause of death is by poisoning due to:
1. Hydrocyanic acid
2. Hydrogen sulphide
3. Oleander
4. Sodium nitrite

Correct answer: 2. Hydrogen sulphide

Explanation: Colour of post-mortem staining in poisoning- 1) Dark brown or yellow- Phosphorus or acute copper poisoning, 2) Cherry red- CO & Cold storage, 3) Bluish-green- H2S, 4) Bright red- HCN/ Cyanides, 5) Chocolate/Red-brown coloured- Nitrites/Nitrates, aniline, Nitrobenzene, Acetanilide, Bromates, Chlorates (due to formation of Metahemoglobin.)